Growth activity at which of these synchondroses completes first?
1. Spheno-occipital
2. Intersphenoidal
3. Intra-occipital
4. Sphenoethmoidal

Correct answer: 2. Intersphenoidal